Regarding Good pasture's syndrome all are true except
1. Auto immune disease
2. Anty body against collagen type IV alpha3 chain of GBM and pulmonary capillaries
3. Diffuse bilateral pulmonary infiltrates
4. Slowly progressive Renal failure

Correct answer: 4. Slowly progressive Renal failure

Explanation: Good pasture's syndrome causes glomerulonephritis that results in rapidly progressive renal failure.